Which of the following is naturally occurring tertiary amine and lipid-soluble reversible anticholinesterases:
1. Physostigmine.
2. Neostigmine.
3. Pyridostigmine.
4. All of the above.

Correct answer: 1. Physostigmine.

Explanation: All other reversible anticholinesterases are synthetic quaternary compounds and are lipid insoluble.